A woman with H/o recurrent abortions presents with isolated increase in APTT. Most likely cause is:
1. Lupus anticoagulant
2. Factor VII
3. Von Willebrand's disease
4. Hemophilia A

Correct answer: 1. Lupus anticoagulant

Explanation: Ans. is a, i.e. Lupus anticoagulantRef. Dutta Obs. 6/e, p 343; Fernando Arias 3/e, p 327; Leon Speroff 7/e, p 1082Isolated increase in APTT is suggestive of lupus anticoagulant.